Prostate is supplied by:
1. Sympathetic + Parasympathetic
2. Parasympathetic
3. Sympathetic
4. None

Correct answer: 1. Sympathetic + Parasympathetic

Explanation: Ans: A (Sympathetic + Parasympathetic) Ref: Gray's Anatomy, 40th edition, pg.1245Explanation:The superior hypogastric plexus conveys the sympathetic nerves from the pre-ganglionic fibres are derived from LI and L2The parasympathetic fires are derived from the pelvic splanchnic nerves which convey preganglionic fibres from S2, S3 & S4. They are secretomotor to the glands.The somatic pudendal nerve supplies the external urethral sphincterNerves containing neuropeptide Y and vasointestinal polypeptide (VIP) are localized in the subepithelia] connective tissue, in the smooth muscle layers of the gland, and in the walls of its blood vessels.